Characteristic of protective epithelium is-
1. Regeneration of membrane
2. Microvilli
3. Thinness
4. Pinocytic vesicle

Correct answer: 1. Regeneration of membrane

Explanation: Ans. is 'a' i.e., Regeneration of membraneo The regeneration of epithelium is one of the protective mechnaism of epithelial cells, o There are three mechanism for healing:ResolutionIt is an ideal outcome of healing and occurs in acute inflammatory responses to minor injuriesRegenerationReplacement of lost parenchymal cells by division of adjacent surviving are parenchymal cells (Regeneration) can also restore injured tissue to normal.Whether regeneration occurs depends uponRegenerative capacity of the involved cell (i.e., their ability to divide)The no. of surviving viable cellsPresence of connective tissue framework that will provide the base for restoration ofnormal tissue structure.Repair by scar formation# A scar is a mass of collagen that is the end result of repair by organization and fibrosis. Repair by scar formation occurs when :o Resolution fails to occurs in an acute inflammatory responseo When there is ongoing tissue necrosis in chronic inflammation.o When parenchymal cells necrosis cannot be repaired by regeneration.